Café au lait spots are seen in
1. Neurofibromatosis
2. Von Recklinghausen disease
3. Albrights syndrome
4. All of the above

Correct answer: 4. All of the above